A young man aged 30 years, presents with difficulty in vision in the left eye for the last 10 days. He is from a rural community and gives a history of trauma to his left eye with vegetative matter 10–15 days back. On examination, there is an ulcerative lesion in the cornea, whose base has raised soft creamy infiltrate. Ulcer margin is feathery and hyphate. There are a few satellite lesions also. The most probable etiological agent is –
1. Acanthamoeba
2. Corynebacterium diphtheriae
3. Fusarium
4. Streptococcus pneumoniae

Correct answer: 3. Fusarium

Explanation: Information in this question are : -


H/O trauma with vegetative matter
Mild symptoms, with greater signs
Feathery and hyphate ulcer margin
Satellite lesions


The diagnosis is a fungal corneal ulcer, which can be caused by Aspergillus, Candida or Fusarium.